Primary prevention does not include
1. Early diagnosis and treatment
2. Health promotion
3. Specific protection
4. Health education

Correct answer: 1. Early diagnosis and treatment

Explanation: Early detection and treatment is part of secondary prevention. Level Aim Mode of intervention Primordial prevention Prevention of emergence of risk factors Individual and mass education for life style changes Primary prevention Reduce the incidence of the disease Health promotion - health education, environmental modifications, nutritional modifications, lifestyle changes Specific protection Secondary prevention Reduce the prevalence of the disease by shortening its duration Early diagnosis and treatment Tertiary prevention Reduce the number/impact of complications Disability limitation Rehabilitation Ref: Park's Textbook of Preventive and Social Medicine; 24th edition - Page no. 47